Which of the following antineoplastic drugs should not be administered to a chronic alcoholic patient due to risk of development of disulfiram like reaction?
1. Dacarbazine
2. Procarbazine
3. Melphalan
4. Hydroxyurea

Correct answer: 2. Procarbazine

Explanation: Disulfiram like reaction can be caused by Cyclic: Chlorpropamide Cefoperazone G: Griseofulvin M: Metronidazole P: Procarbazine